DNA estimation can be done by
1. Spirometer
2. Spectrophotometer
3. pH meter
4. Sphygmomanometer

Correct answer: 2. Spectrophotometer

Explanation: Ans. b. Spectrophotometer